Rugoscopy is -
1. Study of finger prints
2. Study of foot prints
3. Study of lip prints
4. Study of palate prints

Correct answer: 4. Study of palate prints

Explanation: Rugoscopy or palatoprints are study of structural details such as rugae in anterior part of palate which is individualistic and specific as fingerprints ref :.Dr.K.S.Narayana Reddys Synopsis of Forensic Medicine & Toxicology 27th edition pg. 48.